Non-enzymatic linkage of glucose with haemoglobin is known as
1. Glycation
2. Glycosylation
3. Glycogenation
4. Glycerol kinase

Correct answer: 1. Glycation

Explanation: glycation occur mainly in the bloodstream toa small proportion of the observer simple sugars such as glucose Fructose and galactose . it appears that fructose has approximately 10 times glycation activity of glucose , the primary body fuel . glycation can occur through amadori reactions , schiffbase r eactions And maillard reaction Which leads to advanced glycation end products .